"Torres bodies" are seen in:
1. Kala Azar
2. Q-fever
3. Yellow fever
4. LGV

Correct answer: 3. Yellow fever

Explanation: Yellow fever